Visual acuity of 6/60 is classified as
1. Blind
2. Low vision
3. Visual morbidity
4. Normal vision

Correct answer: 2. Low vision

Explanation: This means you can see at 6 metres what someone with standard vision could see from 60 metres away. The figures 6 / 60 or 3 / 60 are how the result of a Snellen test are written. The first number given is the distance in metres from the chart you sit when you read it Low vision is the term used to describe significant visual impairment that can't be corrected fully with glasses, contact lenses, medication or eye surgery. It includes: ... Tunnel vision (lack of vision in the periphery) and blind spots are examples ofvisual field loss. Legal blindness. Reference: AK khurana 7th edition